Which of the following is more prone to osteomyelitis
1. Maxilla
2. zygorna
3. palatine bone
4. mandible

Correct answer: 4. mandible